Which of the following genital infections carries the highest risk for preterm delivery:
1. Trichomonas vaginitis
2. Monilial vaginitis
3. Bacterial vaginitis
4. Human papilloma virus

Correct answer: 3. Bacterial vaginitis

Explanation: Ans. C: Bacterial Vaginitis Bacterial vaginosis increases the risk of preterm birth and premature rupture of membranes. It is also associated with infection of the placenta (chorioamnionitis) and post-cesarean infection.